True about fungal corneal ulcer –a) Symptoms are severe b) Dry looking ulcerc) Satellite lesiond) Shifting hypopyone) Immunogenic ring
1. bce
2. bc
3. acd
4. ace

Correct answer: 1. bce

Explanation: Option d requires some explanation here (all other options have been explained).

Shifting Vs non- shifting hypopyon

The hypopyon, if fluid (as in sterile hypopyon of bacterial ulcer), will be seen to shift i.e., a change in fluid level with tilting or change in position of the head → Shifting hypopyon. On the other hand, larger hypopyons and those due to fungal infections are usually less fluid owing to the fibrinous network and direct invasion by fungal hyphae. Therefore, these hypopyon are immobile → non-shifting hypopyon.